All of the following agents are used in the treatment of alcohol dependence, EXCEPT:
1. Disulfiram
2. Flumazenil
3. Naltrexone
4. Acomprosate

Correct answer: 2. Flumazenil

Explanation: Medical treatment of alcohol dependence involves administration of drugs such as Disulfiram, Naltrexone and Acamprosate. Flumazenil is a benzodiazepine antagonist and has no role in the treatment of alcohol dependence. Disulfiram is used as an aversive drug to discourage alcohol use. It acts by inhibiting alcohol dehydrogenase, resulting in toxic reactions when alcohol is consumed. Naltrexone an opiate antagonist, is useful in lowering relapse rates over the 3-6 months after cessation of drinking. It works by lessening the pleasurable effects of alcohol. Naltrexone is FDA-approved for maintenance therapy. Acamprosate is used to reduce craving and maintain abstinence, and can be continued even during periods of relapse. Ref: Current Medical Diagnosis and Treatment 2012, chapter 25.